Laboratory evaluation for the differential diagnosis of chronic myeloproliferative disorders includes all the following except-
1. Chromosomal evaluation
2. Bone marrow aspiration
3. Flow-cytometric analysis
4. Determination of red blood cell mass

Correct answer: 3. Flow-cytometric analysis